Which of the following antigens are associated with cicatricial pemphigoid?
1. BPAG2 and epiligrin
2. HLA DR5 and HLA B8
3. HLA DR52 and HLA DR3
4. HLA DQB2

Correct answer: 1. BPAG2 and epiligrin

Explanation: Cicatricial Pemphigoid:

Autoimmune blistering disease associated with autoantibodies directed against basement membrane zone target antigens.
Autoantibodies of IgG subclass, particularly IgG4, are associated with CP.
IgA antibodies have also been detected.
The two major antigens associated with CP are bullous pemphigoid antigen 2(BPAG2) and epiligrin (laminin-5).